A women at b montns of pregnancy complains of abdominal pain and slight vaginal bleed. On examination the uterine size is above the expected date with absent fetal heart sounds. The diagnosis :
1. Hydramnios
2. Concealed hemorrhage
3. Active labour
4. Uterine rupture

Correct answer: 2. Concealed hemorrhage

Explanation: Ans. is b i.e. Concealed hemorrhage